Two drugs with opposite action on different receptors is
1. Physical antagonism
2. Competitive antagonism
3. Non competitive antagonism
4. Physiological antagonism

Correct answer: 4. Physiological antagonism

Explanation: physiological antagonism- functional antagonism - 2 drugs binding to two diff receptors, produces opp effects in same physiological system physical antagonism - by virtue of physical properties - opp to each other- charcoal helps in adsorption in alkaloid poisoning pharmacological anatagonism- competitive and non-competitive types Refer kDT 6/e ,katzung 12e